True about the anatomy of inguinal hernia which is/are true:
1. Sup. Inguinal ring is an opening in external oblique aponeurosis
2. Indirect hernia lies just medial to inferior epigastric artery
3. Indirect hernia lies anteromedial to spermatic cord
4. Cremasteric artery is a branch of external iliac artery.

Correct answer: 1. Sup. Inguinal ring is an opening in external oblique aponeurosis

Explanation: A i.e. Superficial inguinal ring is an opening in external oblique aponeurosis